In a patient it is noticed that when he protrudes his tongue it deviates to the left. The nerve damaged is:
1. Left hypoglossal
2. Left glossopharyngeal
3. Right hypoglossal
4. Right glossopharyngeal

Correct answer: 1. Left hypoglossal